True regarding specificity -
1. Identifies false +ve
2. Identifies false -ve
3. Identifies true + ve
4. Identifies true -ve

Correct answer: 4. Identifies true -ve